Lower end of humerus ossifies from how many secondary ossification centers
1. 1
2. 2
3. 4
4. 6

Correct answer: 3. 4

Explanation: Ans. is 'c' i.e., 4The humerus ossifies from one primary center and 7 secondary centersThe upper end ossifies from 3 secondary centers head (1" year)agreater tubercle (2' year)alesser tubercle (5th year).The lower end ossifies from 4 secondary centers which form 2 epiphyses.The center (fourth center) for medial epicondyle appears at 4-6 years, forms a separate epiphysis and fuses with shaft during 20th year.